Post-infective glomerulonephritis present as-
1. ARE
2. Nephrotic syndrome
3. Nephritic syndrome
4. Asymptomatic hematuria

Correct answer: 3. Nephritic syndrome

Explanation: Postinfectious glomerulonephritis (PIGN), a nephritic syndrome, is the most common cause of a glomerular disorder in children between 5 and 15 yr; it is rare in children < 2 yr and uncommon in adults > 40 yr. A latency period of 6 to 21 days between infection and GN onset is typical, but latency may extend up to 6 wk Ref Harrison20th edition pg 299